Which of the following is the most common site of aneurysmal subarachnoid hemorrhage?
1. Anterior communicating artery
2. Basilar artery
3. Posterior communicating artery
4. Middle cerebral artery

Correct answer: 1. Anterior communicating artery

Explanation: Berry aneurysms are most common in anterior circulatation. (Overall) MC site of aneurysmal SAH: Anterior communicating artery causing worst headache of life. If in the question mentioned 3rd nerve is involved and site was asked : (PCA) Post Communicating Artery ,would be the answer.